Delusion is a disorder of
1. Thought
2. Perception
3. Insight
4. Cognition

Correct answer: 1. Thought

Explanation: Ans. is 'a' i.e. Thought Delusion is a disorder of the thought Delusion sociocultural of the patient's* A false unshakable belief which is not amenable to reasoning and is not in keeping with the patient's and educational background.(i) Because delusions are fixed, false beliefs, they cannot be corrected by the physician. Contradiction delusional belief may cause the patient to become angry and stop the interview.A-96 (ii) The physician should not pretend to agree with the delusion but should take a neutral position and continue the examination.The other thought disorder is obsessionObsessionObsessions are persistent intrusive thoughts, ideas or impulses.The patient realizes that the ideas do not make sense and are not being imposed from outside (i.e. delusion).An example is a man who is always fighting an impulse to run down die hall of the office building through a plate glass window at the end. He knows that this action is potentially life threatening and he does not want to hurt himself but he cannot stop thinking about it and feeling anxious.* Other optionsOption 'b' - The facial artery and vein do not course through the deep part of the gland. They are related to the superficial part of the gland.